Normal PCV value is?
1. 30-35%
2. 40-45%
3. 50-55%
4. 60-65%

Correct answer: 2. 40-45%

Explanation: Ans. is 'b' i.e. 40-45% * Normal values are about 45% for men and about 42% for women.Hematocrit or Packed cell volume (PCV)* It is the proportion of blood volume that is occupied by red blood cells.* A decrease in the number or size of red cells also decreases the amount of space they occupy, resulting in lower hematocrit.* Similarly an increase in the number or size of red cells increases hematocrit.* Exceptions are thalassemia which can cause an increased number of red blood cells but a decreased size and hematocrit, and megaloblastic anemia which causes increase in size of red cells with decreased hematocrit